A known alcoholic presents to to the emergency room with hematemesis. On examination he has ascites with splenomegaly and gynaecomastia Diagnosis is -
1. Portal hypertension secondary to viral hepatitis
2. Portal hypertension due to Alcoholic cirrhosis
3. Budd Chiari Syndrome
4. Primary Sclerosing Cholangitis

Correct answer: 2. Portal hypertension due to Alcoholic cirrhosis

Explanation: Ans. is 'b' i.e., Portal hypertension due to Alcoholic cirrhosis o The patient clearly has portal hypertension due to alcoholic cirrhosis (Gynaecomastia indicates cirrhosis as a cause of portal hypertension).